The most common supernumerary tooth form is
1. Tuberculated
2. Conical
3. Screw shaped
4. Incisor shaped

Correct answer: 2. Conical